Lipoprotein X is most likely to be seen with in -
1. Cholestasis
2. Gilbert syndrome
3. Increased intake of trans fatty acids
4. Increased intake of PUPA

Correct answer: 1. Cholestasis

Explanation: Lipoprotein X is an abnormal lipoprotein that appears in the serum samples of patients with obstructive jaundice and is a marker of cholestasis. Lipoprotein X is primarily responsible for the unusual lipid composition and characteristic plasma lipid concentrations in obstructive jaundice Ref Davidson 23rd edition pg 908